All of the following are used in atrial arrhythmias except
1. Digoxin
2. Verapamil
3. Quinidine
4. Lignocaine

Correct answer: 4. Lignocaine

Explanation: Refer kDT 7/e p 533 Medications Beta blocker Slows heart rate and decreases blood pressure. When taken in eye-drop form, it reduces eye pressure. Calcium channel blocker Relaxes blood vessels. Antiarrhythmic Helps control abnormal or irregular heart rhythms. Blood Thinners Helps prevent blood clots from forming or helps dissolve existing clots